Which is the staphyloccocal toxin which is responsible for food poisoning?
1. Beta Exotoxin
2. Enterotoxin
3. Alpha Exotoxin
4. Toxic Shock Syndrome Toxin (TSST-1)

Correct answer: 2. Enterotoxin

Explanation: Ans. (b) EnterotoxinRef: Microbiology by Ananthanarayan and Paniker 8th ed. /198-199* Enterotoxins are responsible for food poisoning and are produced when Staphylococcus Aureus grows in carbohydrate and protien foods. . There are multiple types of enterotoxins (A-E, G-I , K-M) and these are usually superantigens.* The alpha toxin is a potent hemolysin which acts on a broad spectrum of cell membranes , including RBC's.* The beta toxin degrades spingomyelin and is also toxic for many types of cells.* TSST-1 is the same as enterotoxin F and is therefore also a superantigen and is associated with fever, shock multisystem involvement and a desquamative skin rash.